Vit K is involved in
1. Carboxylation
2. Decarboxylation
3. Deamination
4. Transamination

Correct answer: 1. Carboxylation